Oschner Sherren regimen is for
1. Appendicular abscess
2. Appendicular mass
3. Acute appendicitis
4. Appendicular mucocele

Correct answer: 2. Appendicular mass

Explanation: Ans. b (Appendicular mass). (Ref. Bailey & Love, 25th ed., 1215)APPENDICULAR MASS# Following an attack of acute appendicitis infection is sealed off by greater omentum, caecum, terminal ileum, etc resulting in a tender, soft to firm appendicular mass.# Presence of appendicular mass is a contraindication for appendicectomy due to risk of faecal fistulae.# It is treated by Oschner & Sherren's regime, which includes:1. Aspiration with Ryle's tube to give rest to GIT.2. Bowel care (avoid purgatives).3. Charts--temperature, pulse, respiration, diameter of mass.4. Drugs--to cover all organisms.5. Exploratory laparotomy contraindicated.6. Fluid-IV (patient kept nil orally for few days).7. Swinging temperature & increased in size of mass indicate abscess.Criteria for stopping conservative treatment of an appendix mass include A rising pulse rate , Increasing or spreading abdominal pain and Increasing size of the mass